Reynolds braude phenomenon in which germ tubes are formed in human serum is seen with
1. Histoplasma
2. Candida albicans
3. C tropicalis
4. C glabrata

Correct answer: 2. Candida albicans

Explanation: Candida albicans produce germ tubes in 2hrs when incubated at room temperature in human serum-this is called as raynauds braud phenomenon Ref: Baveja 5th ed pg: 558